Which one of the following statements about doxycycline is FALSE ?
1. It is bacteriostatic
2. It is excreted mainly in the feces
3. It is more active than tetracycline against H.pylori
4. It is used in Lyme's disease

Correct answer: 3. It is more active than tetracycline against H.pylori